A 10-day old neonate is brought by her mother to the OPD with complaints of sneezing. On examination, the respiratory rate is 40/minute and conducted sounds are heard on auscultation. There are no intercoastal retraction. The neonate should be treated with -
1. Normal saline nose drops
2. Oral antihistamines
3. Oral antibiotics
4. Parenteral antibiotics

Correct answer: 1. Normal saline nose drops

Explanation: Park's texbook of Preventive and Social Medicine 23rd edition Page no:172 Fast breathing is present when the respiratory rate is 60 breaths/ min or more in a child less than 2 months of age Since no fast breathing and chest indrawing present child is treated symptomaticaly. DONOT require treatment with antibiotics